In Non competitive inhibition of enzyme:
1. Decreased Km, increase Vmax
2. Increase Km, Increase Vmax
3. Normal Km, decrease Vmax
4. Normal Km, increase Vmax

Correct answer: 3. Normal Km, decrease Vmax

Explanation: Ans. (c) Normal Km, decrease VmaxRef: Harper's Biochemistry, 30th edn. pg. 81-82Type of InhibitionKmVmaxCompetitive inhibitionINCREASEDSAMENon- Competitive inhibitionSameDECREASEDCompetitive Inhibition: Substrate and inhibitor Both compete for same site on enzyme.Non-Competitive Inhibition: Substrate and Inhibitor both bind at different site in the enzyme.